Urethral Crest is situated in-
1. Prostatic Urethra
2. Membranous Urethra
3. Penile Urethra
4. Bulbar Urethra

Correct answer: 1. Prostatic Urethra

Explanation: Ans. is 'a' i.e., Prostatic Urethrao Posterior wall of prostatic urethra hasUrethral crest: median longitudinal mucus fold.Colliculus seminalis (verumonatanum) : An elevation in the middle of urethral crest with the opening of prostatic utricle at its summit and ejaculatory duct on each side.Openings of ejaculatory ducts: These are present on each side of the orifice of utricle.Prostatic sinuses : These are vertical grooves preseent one on each side of urethral crest. They present with openings of prostatic glands.